Which is the most common organism causing chronic lung disease in patients with cystic fibrosis?
1. Pseudomonas aeruginosa
2. Burkholderia cepacia
3. Pleisomonas
4. Aeromonas

Correct answer: 1. Pseudomonas aeruginosa

Explanation: Pseudomonas aeuroginosa is the most common organism causing chronic lung disease in patients with cystic fibrosis. In young children with cystic fibrosis, Staphylococcus aureus and Hemophilus influenzae are the most common pathogens. The prevelance of Pseudomonas aeruginosa increases with increasing age.